Tabular vision is caused by
1. Retinitis pigmentosa
2. Narrow angle glaucoma
3. Nuclear cataract
4. Papillodema

Correct answer: 1. Retinitis pigmentosa

Explanation: Ans. a (Retinitis pigmentosa). (Ref Basak, Ophthalmology, 2nd ed., 203)As the primary OAG advances the glaucomatous field defect due to generalized constriction of peripheral field along with double arcuate scotoma leads to tubular vision, in which only central vision remains.Causes of tubular vision include:# CRAO with sparing of cilioretinal artery.# High myopia# POAG# Retinitis pigmentosa}(Mnemonic: CHOR)